The prognosis of rapidly proliferating glomerulonephritis (Crecentric GN) depands upon -
1. Number of crescents
2. Size of crescents
3. shape of crescents
4. Cellularity of crescents

Correct answer: 1. Number of crescents

Explanation: Rapidly progressive glomerulonephritis (RPGN) is characterised by number of crescentsby rapid loss of renal function over days to weeks, usually in association with hypertension and oedema. Non-visible haematuria is almost always present with variable amounts of proteinuria, while characteristic red cell casts and dysmorphic red cells may be observed on urine microscopy . Renal biopsy typically shows crescentic lesions , often associated with necrotising lesions within the glomerulus , particularly in small-vessel vasculitides. This pattern of presentation is typical of post-infectious glomerulonephritis, anti-GBM disease and small-vessel vasculitides (p. 1040). It can also be observed in SLE and occasionally in IgA and other nephropathies . Causes of glomerulonephritis associated with low serum complement * Post-infectious glomerulonephritis * Subacute bacterial infection, especially endocarditis * Systemic lupus erythematosus * Cryoglobulinaemia * Mesangiocapillary glomerulonephritis, usually complement type Ref Harrison20th edition pg 267